BCYE medium is used to culture ?
1. Mycoplasma
2. T. pallidum
3. H.pylori
4. Legionella

Correct answer: 4. Legionella

Explanation: Ans. is 'd' i.e., Legionella